Fulminant hepatitis E is seen in?
1. Pregnant women
2. Infants
3. Malnourished males
4. Adolescents

Correct answer: 1. Pregnant women

Explanation: ANSWER: (A) Pregnant womenREF: Park 18th ed p. 174, Robbins 7th ed 891 table 18-6Important points about hepatitis E:Transmitted by feco-oral routeFulminant hepatitis E seen in pregnant women (20-40%) especially in last trimesterMost common cause opf sporadic cases of hepatitis in adults - Hepatitis EEpidemics are almost exclusively caused by enetrically transmitted Hepatitis E Hepatitis AHepatitis BHepatitis CHepatitis DHepatitis EHepatitis GAgentIcosahedral capsid, ssRNAEevelopeddsDNAEnvelopedssRNAEnvelopedssRNANon enveloped ssRNAssRNATrans-missionFecal oralParenteral, dose contactParenteral, close contactParenteral, close contactWaterborneParenteralIncubationperiod2-6 wks4-26 wks2-26 wks4-7 wks2-8 wksUnknownCarrier stateNone0.1-1% of blood donors in U.S & west0.2-1% of blood donors in U.S & west1-10% in drug addicts & hemophiliacUnknown1-2% of blood donors in U.SChronic hepatitisNone5-10% of acute infections>50%< 5% coinfection, 80% upon super infectionNoneNoneHepato-cellularcarcinomaNoYesYesNo increase above HBVUnknown but unlikelyNone